Nerve suply of cremastric muscle ?
1. Pudendal nerve
2. Femoral branch of genitofemoral
3. Genital branch of genitofemoral nerve
4. Ilioinguinal nerve

Correct answer: 3. Genital branch of genitofemoral nerve

Explanation: Genital branch of genitofemoral nerveCremastric muscle is a muscle of scrotum. It is supplied by genital branch of genitofemoral nerve.